Gingiva are enlarged in leukemia because of
1. Capillary dilation
2. Erythrocyte engorgement
3. Edema
4. WBC infiltration

Correct answer: 4. WBC infiltration